Which of the following maternal factors doesn't adversely affects the health of a child between 0 - 4 years?
1. Maternal haemoglobin 12g/dl
2. Mother under 18
3. Mother over 35
4. Last child born less than 2 years ago

Correct answer: 1. Maternal haemoglobin 12g/dl

Explanation: Maternal hemoglobin of 12g/dl means normal Hb in Indian women. It is not going to adversely affect a child who is breast fed. Older mothers are at increased increased risk of illness, pregnancy complications and Downs syndrome in the child. Teenage mothers are at increased risk of infant death, pregnancy complications and infant intellectual disability. Short interval between two pregnancies adversely affect breast feeding and cut short the survival chances of index child.